Most common type of foregut cysts are?
1. Bronchogenic
2. Esophageal
3. Enteric
4. Mixed type

Correct answer: 1. Bronchogenic

Explanation: Foregut cysts are abnormal detachments of primitive foregut most often located in hilum or middle mediastinum. 3 types: Bronchogenic (most common) Esophageal Enteric.